A good indicator of the availabilty, utilization and effectiveness of health care services in a country is
1. Maternal Mortality rate
2. Hospital bed occupancy rate
3. Infant mortality rate
4. DALY

Correct answer: 3. Infant mortality rate

Explanation: Infant Mortality Rate It is one of the most universally accepted indicators of health status of not only infants but also of the whole population and socioeconomic conditions under which they live. Ref : Park's Textbook of Preventive and Social Medicine; 23rd edition - Pgno. 24